All are antiemetic except -
1. Ondansetran
2. Metoclopramide
3. Chlorpromazine
4. Bismuth

Correct answer: 4. Bismuth

Explanation: Ans. is 'd' i.e., Bismuth Antiemetic drugsAnticholinergics - Hyoscine, Dicyclomine.Ht antihistaminics Promethazine, cyclizine, Cinnarizine, etc.Neuroleptics (D2 blockers) - Chlorpromazine, Haloperidol, Droperidole etc.Prokinetics drugs - Metoclopramide, Domperidone, cisapride, Mosapride, Tegaserod.5-HT3 antagonists - Ondansetron, Granisetron.Adjuvant antiemetics - Dexamethasone, BZDs, Cannabinoids, Clonidine & ephedrine.